Adverse reaction following whole cells pertussis immunization is -
1. Fever
2. Ecessive cry
3. Local swelling
4. All of above

Correct answer: 4. All of above

Explanation: Ans. is 'd' i.e.. All of above Advese effect with pertusis (used in DPT)o Local pain, swelling, rednesso Fevero Convulsiono Anaphylaxiso Hypotensive, hyporesponsive episod.